Which one of the following statements regarding collagen is true?
1. It is composed of Tropocollagen.
2. Reticular Fibers are composed of type II collagen.
3. It is synthesized mostly by Mast cells.
4. Elastic Fibers are composed of type IV collagen.

Correct answer: 1. It is composed of Tropocollagen.

Explanation: Collagen is composed of closely packed Tropocollagen Molecules. Reticular Fibers are composed of type III collagen, Elastic Fibers are composed of Elastin microfibrils rather than collagen. Collagen is synthesized by Fibroblasts not mast cells.